A 7 year old boy which gets easily distracted in the class with poor academic performance and there occurs an episode of seizure after hyperventilation. What is the diagnosis of the EEG given below ?
1. Myoclonic seizures
2. Atonic seizures
3. Myotonia
4. Absence seizures

Correct answer: 4. Absence seizures

Explanation: Absence seizure Clinical features:- Transient loss of consciousness for 1-2 seconds 4-10 yr child Postural tone is maintained Become unresponsive/quiet Repeated blinking of eye Post ictal deficit absent Day dreamers Hyperventilation triggers these seizures EEG = 3 per second spike & slow wave. Rx = Valproate/ ethosuximide (in younger child)